All are true about hypertrophic obstructive cardiomyopathy except
1. Digitalis is usefull
2. Left ventricular outflow obstruction
3. Asymmetrical septal thickness
4. Double apical impulse

Correct answer: 1. Digitalis is usefull

Explanation: Ref Harrison 19 th ed pg 1569 Digitalis is contraindicated in hypertrophy obstructive cardiomyopathy HOCM.